Baby born with membrane around him at the time of birth. Which of the following condition is depicted?
1. Ichthyosis vulgaris
2. Lamellar ichthyosis
3. X linked ichthyosis
4. Hyperkeratosis

Correct answer: 2. Lamellar ichthyosis

Explanation: Lamellar ichthyosis It is Autosomal recessive It occur due to deficiency of transglutaminase 1 enzyme In this whole body is involved k/a colloidion membrane/body. Drooping of lower eyelids(ectropion), palmoplantar keratoderma & scarring alopecia seen insevere cases.